Range of IQ in mild intellectual disability is?
1. <50
2. 50-70
3. 70-100
4. >100

Correct answer: 2. 50-70

Explanation: b. 50-70(Ref: Nelson's 20/e p 217, Ghai 8/e p 52-54)Mild intellectual disability (ID) is IQ between 50-70, while severe ID is IQ <50